A middle-aged male comes to the OPD with the only complaint of hoarseness of voice for the past 2 years. He has been a chronic smoker for 30 years. On examination, a reddish area of mucosal irregularity overlying a portion of both cords was seen. Management would include all except -
1. Cessation of smoking
2. Bilateral cordectomy
3. Microlaryngeal surgery for biopsy
4. Regular follow-up

Correct answer: 2. Bilateral cordectomy